Most common helminthic infection in AIDS is:
1. Trichuris trichiura
2. Strongyloides stercoralis
3. Enterobius vermicularis
4. Nector-americanus

Correct answer: 2. Strongyloides stercoralis

Explanation: Ans. is 'b' i.e., Strongyloides stercoralis (Ref: Paniker Parasitology,6th/e, p. 173)* Amongst the given options only stongyloides causes opportunistic infection in AIDS.* Generalised strongyloidosis may be seen in AIDS.* Protozoa causing opportunistic infection are: Toxoplasma gondii, Isospora belli, Cryptosporidium species.